Stain for the diagnosis of tuberculosis -
1. Auramine-rhadomine
2. India-ink
3. Geimsa stain
4. All

Correct answer: 1. Auramine-rhadomine

Explanation: Ans. is 'a' i.e., Auramine-rhodamine